Administrative unit of the ICDS project in rural areas is:
1. PHC
2. Community development block
3. Zilla parishad
4. Gram panchayat

Correct answer: 2. Community development block

Explanation: Administrative unit of an ICDS project is 'Community Development Block' Administration ministry is Ministry of women & child development. Each project covering a population of 1,00,000 (rural/urban) or 35,000 (tribal). 1 CDPO (Community Development Project Officer) is in charge of 4 supervisors (Mukhyasevikas) and 100 Anganwadis (each supervisor for 25 Anganwadis) Anganwadi is the heart of ICDS Beneficiaries are children , pregnant & lactating women , Non-pregnant & lactating women in reproductive age, Adolescent girls.